An infant is crying excessively even after being given good fed. He is passing a large quantity of urine and repeatedly getting dehydrated. Urine examination shows no proteinuria and a specific gravity of 1004. The most likely diagnosis is –
1. Diabetes mellitus
2. Diabetes insipidus
3. Congenital nephrotic syndrome
4. Protein losing enteropathy

Correct answer: 2. Diabetes insipidus

Explanation: This child has low urinary specific gravity.
Amongst the given options only DI causes low urinary specific gravity.